Which of the following inhibits gastrin secretion?
1. Intrinsic factor
2. Enterogastrone
3. Histamine
4. Gastrin

Correct answer: 2. Enterogastrone

Explanation: Enterogastrone is secreted in the ileum. To a minor extend it inhibits gastric and pancreatic secretions. It inhibits the secretion of gastrin. Gastrin: Gastrin is produced by G cells in the antral portion of the gastric mucosa. Functions of gastrin: It increases gastric HCl secretion, decreases insulin secretion, stimulates GI mucosal growth and cause constriction of lower esophageal sphincter. Stimuli that increase gastrin secretion: Luminal: distention, peptides and amino acids Increased vagal discharge GRP Calcium Epinephrine Stimuli that inhibit gastrin secretion Luminal: acid, somatostatin Secretin, GIP, VIP, glucagon, calcitonin Ref: Barrett K.E., Barman S.M., Boitano S., Brooks H.L. (2012). Chapter 25. Overview of Gastrointestinal Function & Regulation. In K.E. Barrett, S.M. Barman, S. Boitano, H.L. Brooks (Eds), Ganong's Review of Medical Physiology, 24e.